Silicosis caused by ?
1. Gold
2. Coal
3. CO
4. Silica

Correct answer: 4. Silica

Explanation: Ans. is 'd' i.e., Silica